Disclosing agents are used to motivate and educate patients about plaque and oral hygiene methods. These agents can make the patient visualise subgingival plaque.
1. Both are true
2. Both are false
3. 1st is true, 2nd is false
4. 2nd is true, 1st is false

Correct answer: 3. 1st is true, 2nd is false